Drugs of choice for corneal herpes is:
1. Idoxuridine
2. Acyclovir
3. Vidarabine
4. Amantadine

Correct answer: 2. Acyclovir

Explanation: Acyclovir